Which method is used for standardization testing of waxes:
1. Infrared lamp.
2. Water bath.
3. Bunsen burner.
4. Nd-Yag laser.

Correct answer: 1. Infrared lamp.

Explanation: The method of softening used in standardization testing of waxes involves the use of 250 Watts infra-red lamps.